Most radiosensitive cells are
1. Vegetative intermitotic cells
2. Differential intermitotic cells
3. Reverting post mitotic cells
4. Fixed post mitotic cells

Correct answer: 1. Vegetative intermitotic cells